Reduces blood pressure primarily by directly decreasing heart rate alone -
1. Propranolol
2. Prazosin
3. Alpha methyl dopa
4. Nitroprusside sodium

Correct answer: 1. Propranolol

Explanation: Ans. is 'a' i.e., Propranolol o Methyldopa is useful in the treatment of mild to moderately severe hypertension. It lowers blood pressure chiefly by reducing peripheral vascular resistance, with a variable reduction in heart rate and cardiac output. o Prazosin and nitroprusside are vasodilators and produce reflex tachycardia instead of causing bradycardia. o Propranolol is a non selective beta blocker and acts mainly by decreasing heart rate.